Lisch nodule seen in:
1. Neurofibromatosis
2. Tuberous sclerosis
3. Von-Hippal Lindau syndrome
4. Tumour metastasis to brain

Correct answer: 1. Neurofibromatosis

Explanation: (Neurofibromatosis) (2457-H 16th) (2607-H17th)* Neurofibromatosis (Von Recklinghausen's disease) - cutaneous neurofibroma* Cafe au lait spots* Freckling in non-sun exposed areas such as the axilla, hamartoma of the iris termed Lisch nodules.* Pseudoarthrosis of the tibia.Tuberous Sclerosis (Bournvilleis disease)Cutaneous Lesions* Adenoma sebaceus (Facial angiofibromas)* Ash-leaf shaped hypopigmented macula* Shagreen patch (Yellowish thickening of the skin over lumbosacral region of the back)* Depigmented nevi* Sub ependymal nodules* Subependymal giant cell astrocytoma* Rhabdomyomas of the myocardium and Angiomyomas of the kidney, liver, adrenal and pancreas.Von Hippel Lindav Syndrome - consist of retinal, cerebellar and spinal hemangioblastomas, Hypernephroma, renal cell carcinoma, pheochromocytoma, benign cysts of kidney, pancreas, epididymis or liver may occur.